Drug of choice for diphtheria carrier is:
1. Penicillin
2. Erythromycin
3. Procaine penicillin
4. Tetracycline

Correct answer: 2. Erythromycin

Explanation: Ans. is 'b' Erythromycin Drug of choice for diptheria carrier is erythromycin.